False about alcoholic anonymous is
1. It is a self help group
2. It follows 12 steps to quit alcohol
3. It includes recovered patients & volunteer
4. It provides incentives for quitting alcohol

Correct answer: 4. It provides incentives for quitting alcohol

Explanation: Alcohol anonymous is a self help group and it doesn't provide any incentives for quitting alcohol.